Kallu, a 30-year-old man, presented with subcutaneous itchy nodules over the left iliac crest. On examination they are firm, non tender and mobile. Skin scraping contains microfilaria and adult worms of:
1. Loa Loa
2. Onchocerca volvulus
3. Brugia malayi
4. Mansonella perstans

Correct answer: 2. Onchocerca volvulus

Explanation: Ans. is 'b' i.e., Onchocerca Volvulus(Ref: Harrison, 18th/e, p. 1748; 19th/e, p. 1421)* Subcutaneous itchy nodules over the left illiac crest, Skin scrapings containing microfilaria and adult worms confirms the diagnosis of Onchocerca volvulus.